Which of the following is not a biovar of diphtheria
1. Gravis
2. Intermedius
3. Belfanti
4. Meningitidis

Correct answer: 4. Meningitidis

Explanation: Mcleod classification of Corynebacterium:FeaturesC.gravisC.intermediusC.mitisColony on tellurite blood agar Daisy head colovy Frog's egg colony Poached egg colony Hemolysis Variable Non hemolytic Hemolytic Glycogen & starch fermentation Positive Negative Negative Complication Paralytic & Hemorrhagic Hemorrhagic Obstruction lesion in air passage On broth medium Forms pellicle & granular deposits Granular deposits Diffuse turbidity Fourth biotype - C.belfanti